A child is suffering from dry skin and is mentally retarded-diagnosis ?
1. Vit A deficiency
2. Crebral palsy
3. Hypothyroidism
4. All above

Correct answer: 3. Hypothyroidism

Explanation: Ans. is 'c' i.e., Hypothyroidism